Acro-osteolysis is seen in -
1. Amyloidosis
2. Gout
3. Hyperparathyroidism
4. Multiple Myeloma

Correct answer: 3. Hyperparathyroidism

Explanation: Ans. is 'c' i.e., Hyperparathyroidism Acro-osteolvsiso Acro-osteolysis is the term used to describe resorption of the distal phalangeal tufts. Causes are : -i) Sclerodermav) Trauma & thermal injuryii) Hyperparathyroidismvi) Epidermalysis bullosaiii) Arthropathy (RA, Psoriasis)vii) Neuropathy (diabetes, syringomyelia)